In a hindsight study, the progeny of woman who took diethylstilbestrol had an increased risk for developing which of the following cancers?
1. Bladder cancer
2. Endometrial carcinoma
3. Ovarian carcinoma
4. Vaginal clear cell adenocarcinoma

Correct answer: 4. Vaginal clear cell adenocarcinoma

Explanation: Diethylstilbestrol, or DES, is an estrogen analog that was prescribed in the 1950s-1970s for prevention of spontaneous abortion. The progeny of woman taking DES were often diagnosed with clear cell vaginal or cervical adenocarcinoma, which is rarely seen in unexposed women. Bladder cancer is often seen in individuals exposed to beta-naphthalene dyes or phenacetin. Endometrial carcinoma is seen in individuals on long-term estrogen therapy, but was not seen in the progeny of DES-treated women. Ovarian carcinoma is increased in nulliparous women, and in those with a family history of the disorder. Ref: Cunningham F.G., Leveno K.J., Bloom S.L., Hauth J.C., Rouse D.J., Spong C.Y. (2010). Chapter 14. Teratology and Medications That Affect the Fetus. In F.G. Cunningham, K.J. Leveno, S.L. Bloom, J.C. Hauth, D.J. Rouse, C.Y. Spong (Eds), Williams Obstetrics, 23e.